Which of the following is not a component of SAPHO syndrome?
1. Synovitis
2. Acne
3. Hyperosteitis
4. Seborrhoea

Correct answer: 4. Seborrhoea

Explanation: SAPHO syndrome does not include seborrhea. SAPHO: S- Synovitis A- Acne P- Pustulosis H- Hyperostosis O- Osteitis On other hand , seborrhea is constituent of SAHA syndrome